Which of the following is a voluntary organization -
1. TB association of India
2. Directrate of Health Service
3. Indian Medical Council
4. Council of Medical Research

Correct answer: 1. TB association of India

Explanation: Voluntary health organisations of India: 1.Indian red cross 2.Hind kusht nivaran sangh 3.Indian council for child welfare 4.Tubercukosis association of India 5.Bharath sevak samaj 6.Central social welfare board 7.The Kasthurba memorial fund 8.Famaily planning association of India 9.All India womens conference 10.All India blind relief society 11.professional bodies 12.International agencies like CARE Parks textbook of preventive and social medicine.K Park. Edition 23.Pg no: 916